The following laboratory determinants is abnormally prolonged in ITP -
1. APTT
2. Prothrombin time
3. Bleeding time
4. Clotting time

Correct answer: 3. Bleeding time